After a meal of pizza, dietary lipid is absorbed by the small intestine and transported in the lymph mainly as
1. VLDLs
2. Free fatty acids bound to albumin
3. Chylomicrons
4. LDLs

Correct answer: 3. Chylomicrons

Explanation: Ans. C. ChylomicronsThe small intestine transports dietary triglyceride as chylomicrons in lymph. VLDLs are secreted by the small intestine during fasting. Although some dietary fatty acids are transported in the portal blood bound to albumin, it is not the predominant pathway for the transport of dietary lipids to the circulation by the small intestine. The intestine does not secrete LDLs, and although it does secrete HDLs, they are not used as a vehicle for transporting dietary lipids to the blood by the small intestine.